Which is the earliest histopathological change in myocardial infarction?
1. Stretching and waviness of fibers
2. Neutrophilic infiltration
3. Coagulative necrosis
4. Fibrovascular response

Correct answer: 1. Stretching and waviness of fibers

Explanation: Time frameLight microscopy0-6 hoursNo change, stretching and waviness of fibres6-12 hoursCoagulative necrosis begins with neutrophilic infiltration48-72 hoursCoagulative necrosis is complete3rd-7th dayInitiation of resorption of necrosed fibres and fibrovascular response3rd weekNecrosed muscles removed and in growth of fibrocollagenous tissue.